The term "Ambivalence" was coined by :
1. Hippocrates
2. Eugen Bleuler
3. Kraeplin
4. Sigmund Freud

Correct answer: 2. Eugen Bleuler

Explanation: B.. i.e. Eugen Bleuler